Which of the following includes inflammatory bowel disease in children
1. Coeliac disease
2. Tropical sprue
3. Regional ileitis
4. Cystic fibrosis

Correct answer: 3. Regional ileitis

Explanation: .Celiac disease:permanent sensitivity to gluten ,immunologically mediated small intestinal enteropathy cystic fibrosis:inherited disorder causing intestinal obstruction inflammatory bowel disease are: ulcerative colitis and crohn's disease[terminal ileum} ESSENTIAL PEDIATRICS,O.P.GHAI,PG NO:276,7 th edition